The 2010 AHA Guidelines for CPR during Basic Life Support for neonates Recommends:
1. Airway - Breathing - Compression (A-B-C)
2. Compression - Breathing- Airway (C-B-A)
3. Compression- Airway - Breathing (C-A-B)
4. Breathing - Airway - Compression (B -A-C)

Correct answer: 1. Airway - Breathing - Compression (A-B-C)

Explanation: Answer is A (Airway - Breathing - Compression (A-B-C)) The A-B-C (Airway - Breathing - Compression) sequence is still retained for neonates since cardiac arrests in neonates are nearly always from asphyxia. The major Highlight of the 2010 AHA Guidelines for CPR is the Change from "A-B-C" to "C-A-B". The newest development in the 2010 AHA Guidelines for CPR and ECC is a change in the basic life support (BLS) sequence of steps from "A-B-C" (Airway, Breathing, Chest compressions) to "C-A-B" (Chest compressions, Airway, Breathing) for adults and paediatric patients (children and infants, excluding new-borns). However the A-B-C (Airway - Breathing -Compression) sequence is still retained for neonates since cardiac arrests in neonates are nearly always from asphyxia.